A homonymous upper quadrantic field defect is typical of lesion in
1. Parietal lobe
2. Temporal lobe
3. Occipital lobe
4. Optic chiasma

Correct answer: 2. Temporal lobe

Explanation: B i.e. Temporal lobe